Acyl carrier protein (ACP) occurs in a bound state to a derivative of the following vitamin
1. Biotin
2. Folic acid
3. Pantothenate
4. Pyridoxine

Correct answer: 3. Pantothenate

Explanation: Vitamin FunctionsDeficiency DiseasePantothenic acid The functional part of CoA and acyl carrier protein: fatty acid synthesis and metabolismPeripheral nerve damage (nutritionalmelalgia or "burning foot syndrome")Ref: Harper's biochemistry; 30th edition; Chapter 44 Micronutrients: Vitamins & Minerals